If iodine supplementation in the diet was completely stopped today, thyroid hormone levels in blood will fall to zero after:
1. 7 days
2. 30 days
3. 90 days
4. 360 days

Correct answer: 3. 90 days

Explanation: The thyroid gland has enough stores of iodine to sustain & to synthesize the thyroid hormone for 90 days even if there is no iodine supplementation.